Cultivable (in vitro) hepatitis virus is -
1. Hepatitis A
2. Hepatitis B
3. Hepatitis C
4. Hepatitis D

Correct answer: 1. Hepatitis A

Explanation: HAV can be grown in some human and simian cell cultures and is the only human hepatitis virus which can be cultivated in vitro. REF:ANANTHANARAYAN AND PANIKER'S TEXTBOOK OF MICROBIOLOGY 9TH EDITION PAGE NO-541